The epiphysis at the tip of coracoid process is:
1. Traction
2. Atavistic
3. Pressure
4. A or C

Correct answer: 2. Atavistic

Explanation: Atavistic